Which one of the following is not associated with a high reticulocyte count ?
1. Acute bleed
2. Haemolytic anaemia
3. Megaloblastic anaemia
4. Response to treatment in nutrition deficiency anaemia

Correct answer: 3. Megaloblastic anaemia